Heart lung machine is sterilized by
1. Orthophthaldehyde
2. Cidex
3. Isopropyl alcohol
4. Ethylene oxide

Correct answer: 4. Ethylene oxide

Explanation: Ethylene oxide is used for sterilization of many heat sensitive items such as heart - lung machine, sutures, catheters and dental equipment.